Best indicator for disease burden?
1. DALY
2. QALY
3. Sullivan index
4. Disease severity index

Correct answer: 1. DALY

Explanation: Disability-adjusted life years (DALY):

DALY is a measure of overall disease burden, expressed as a number of years lost due to ill-health, disability or early death. 
Originally developed by Harvard University for the World Bank in 1990, the WHO subsequently adopted the method in the year 2000. 
The DALY is becoming increasingly common in the ﬁeld of public health and health impact assessment. 
The major measure used is disability-adjusted life years (DALYs) which combines:
- Years of lost life (YLL) calculated from the number of deaths at each age multiplied by the expected remaining years of life according to a global standard life expectancy.
- Years lost to disability (YLD) where the number of incident cases due to injury and illness is multiplied by the average duration of the disease and a weighting factor reﬂecting the severity of the disease on a scale from 0 (perfect health) to 1 (dead).
It is calculated by the formula: DALY = YLL + YLD.